Which of the following do NOT elevate the ribs -
1. Serratus posterior superior
2. Serratus posterior inferior
3. External intercostals
4. Levatores costarum

Correct answer: 2. Serratus posterior inferior

Explanation: Muscles that elevate the ribs are the muscles of inspiration. Serratus posterior inferior is a muscle of expiration.